Lymphoid tissue is seen in which parotid tumor
1. Warthins tumor
2. Adenoid cystic
3. Mucoepidermoid
4. Pleomorphic adenoma

Correct answer: 1. Warthins tumor

Explanation: warthin tumor is a benign and second most common salivary gland neoplasm. it almost exclusively arises in the parotid gland Microscopy: cystic spaces are embedded in a dense lymphoid stroma which closely resembles a normal lymph node. Lymphoid tissue is prominent with germinal centres and is composed of B and few T cells GENERAL AND SYSTEMIC PATHOLOGY RAMDAS NAYAK FIRST EDITION PGNO.368 IMAGE REF: GENERAL AND SYSTEMIC PATHOLOGY RAMDAS NAYAK SECOND EDITION FIG. 17.5 PAGE 473